Synergohymenotroic toxins of Staphylococcal consists-a) α toxinb) β toxinc) γ toxind) δ toxine) Panton-Valentine toxin
1. a
2. ce
3. ac
4. ae

Correct answer: 2. ce

Explanation: Staphylococcal leucocidin and gamma lysin have been grouped as synergohymenotropic toxins.
Leucocidin is also called the Panton-valentine toxin.